The commonest cause of acute mesentric adenitis is -
1. Tuberculosis
2. Brucellosis
3. Pneumococcal infection
4. Idiopathic

Correct answer: 4. Idiopathic

Explanation: Ans. is 'd' i.e., Idiopathic